Semen examination of a man showed counts of 25 million/cu.mm, volume - 1.5 ml; motility - 15%; Morphology - 15%. What is the diagnosis?
1. Azoospermia
2. Asthenospermia
3. Oligospermia
4. Teratospermia

Correct answer: 2. Asthenospermia

Explanation: World Health Organization reference values: Semen volume: 1.5 ml or more pH: 7.2-7.8 Sperm concentration: 15 million spermatozoa per ml or more Total sperm number: 39 million spermatozoa per ejaculate or more ( Range 36-42 million /ml) Total motility : 40% or more motile or 32% or more with progressive motility Round cells: <1 million /mL Vitality: 58% or more live spermatozoa Sperm morphology (Strict criteria): 4% or more of normal forms * Asthenospermia : Reduced sperm motility. * Azoospermia : Semen with no sperm. * Oligospermia: low concentration of sperm * Teratospermia :Sperm with abnormal morphology.